Which of the following is not an enzyme of Urea biosynthesis?
1. Carbomoyl phosphate synthetase II
2. Ornithine transcarbamylase
3. Argininosuccinase
4. Arginase

Correct answer: 1. Carbomoyl phosphate synthetase II

Explanation: Carbamoyl Phosphate Synthase I Is the Pacemaker Enzyme of the Urea Cycle. Other enzymes are; Argininosuccinate Synthase. Argininosuccinate Lyase. Arginase.Ref: Harpers Illustrated Biochemistry, 30th edition, page no: 295